Envelope of this virus doesn't contains neither hemagglutinin nor neuraminidase
1. Mumps
2. Para influenza
3. Respiratory syncytial virus
4. Measles virus

Correct answer: 3. Respiratory syncytial virus

Explanation: Respiratory syncytial virus-contains no neuraminidase nor hemagglutinin but contain F protein Measles-paramyxo but no neuraminidase Envelope has F protein Ref: Baveja 5th ed Pg: 478